Which of the following are the effects of Ozone treatment on the teeth?
1. Enhances  the  remineralisation  of  the  carious lesion
2. Temporary arrest of caries progression in deciduous teeth or permanent teeth
3. Remove  proteins  in  the carious lesion and enable calcium and phosphate ions to diffuse  through  the  lesion
4. All of the above

Correct answer: 4. All of the above

Explanation: Ozone enhances the remineralisation of the carious lesion, by killing the microorganisms by damaging their cell membrane, so the local pH is raised. Being powerful oxidant, ozone has the ability to remove proteins in the carious lesion and enable calcium and phosphate ions to diffuse through the lesion. Treating the deep carious lesion with healozone and using the benefits of remineralisation has great advantages like preservation of tooth  substance, avoidance of pain and hypersensitivity lowering the long term risk for RCT, core and post, crown or even extractions.
HealOzone used in the treatment of temporary arrest of caries progression in deciduous teeth or permanent teeth. 
Reference: International Journal of Oral Health and Medical Research | ISSN 2395-7387 | SEPTEMBER-OCTOBER 2015 | VOL 2 | ISSUE 391